Exocytosis
1. Extrusion of cell bound vesicles
2. Intrusion of liquid particles
3. Instrusion of solid particles
4. All of the above

Correct answer: 1. Extrusion of cell bound vesicles

Explanation: In exocytosis, the intracellular content to be released into the ECF fuses to the cell membrane. Then it is packed in a vesicle formed by the cell membrane and is released to the ECF.